Mallory bodies are seen in?
1. Hepatitis B infection
2. Hydatid cyst
3. al - antitrypsin deficiency
4. Autoimmune hepatitis

Correct answer: 3. al - antitrypsin deficiency

Explanation: Ans. is 'c' i.e., al - antitrypsin deficiency Mallory hyaline (mallory bodies)* Mallory bodies are eosinophilic intracytoplasmic inclusion bodies which are composed predominantly of keratin intermediate filaments. They are also known as alcoholic hyaline.* These inclusions are characteristic but not specific feature of alcoholic liver disease, as they are also seen in other conditions such as -1. Alcoholic liver disease2. Primary billiary cirrhosis3. Indian childhood cirrhosis4. Wilson's disease5. Hepatocellular carcinoma6. Focal nodular hyperplasia7. Chronic cholestatic syndrome8. al - antitrypsin deficiency